A pregnant lady in her first trimester presents with vaginal bleeding. On examination the os is closed and uterine size corresponds to the period of amenorrhoea. The condition could be:
1. Septic abortion
2. Complete abortion
3. Inevitable abortion
4. Threatened abortion

Correct answer: 4. Threatened abortion

Explanation: Abortion Classification Characteristics Cervical Os Passage of Fetal Tissue Threatened Abdominal pain or bleeding in the first 20 weeks of gestation Closed None Inevitable Abdominal pain or bleeding in the first 20 weeks of gestation Open None Incomplete Abdominal pain or bleeding in the first 20 weeks of gestation Open Yes (some products of conception still remain in uterus) Complete Abdominal pain or bleeding in the first 20 weeks of gestation Closed Complete passage of fetal parts and placenta Uterus contracted Septic Infection of uterus during miscarriage, fever and chills. Usually due to Staph. aureus Open with purulent cervical discharge Uterine tenderness None or may be incomplete